Which of the following can be prevented by screening -
1. Ca cervix
2. Ca breast
3. Ca prostate
4. Ca Lung

Correct answer: 1. Ca cervix

Explanation: Ans. is 'a' i.e., Ca cervix o This question is tricky one and is different from previous one. o In this question examinar is asking about the cancers which can be prevented by screening. o The cancers, which have well known precancerous condition, can be diagnosed and treated at pre-cancerous stage to prevent the development of cancer : - i) Cervix --> CIN ii) Colon ---> Polyp o On the other hand, in previous explanation, examinor had asked about the cancers for which survival can be prolonged by screening. This is done by early diagnosis and treatment of cancer which has already been developed. o So, two different questions can be framed : ? 1) Screening can increase the survival (screening is useful) in : - Colon (Colorectal) carcinoma Breast Carcinoma } Greatest Cervical carcinoma Prostate carcinoma l Moderate Kidney carcinoma 2) Screening can prevent Colon carcinoma Cervical carcinoma Breast, Prostate and kidney cancers cannot be prevented by screening, however, the survival rate can be increased by screening which caught them in early stage.